All of the following are true about ACL. Except-
1. Prevents anterior motion of femur over tibia
2. Prevents anterior motion of tibia over femur
3. Also provide some secondary varus-valgus stability
4. Is taught in extension of knee

Correct answer: 1. Prevents anterior motion of femur over tibia

Explanation: *ACL prevents anterior gliding of tibia over femur. * It is taut during extension and also provides secondary medio- lateral (valgus- Varus) stability. Ref: Sports medicine 4th/e p.83